A 20 year old woman presents with hemoptysis, bilateral conductive deafness and palpable purpura on the legs. X ray chest shows a thin walled cavity in left lower zone. Investigations shows a leukocyte count of 12000/mm3, red cell casts in the urine and serum creatinine 3mg/dL. What is the most probable diagnosis?
1. Henoch-Schonlein purpura
2. Polyarteritis nodosa
3. Wegener's granulomatosis
4. Disseminated tuberculosis

Correct answer: 3. Wegener's granulomatosis

Explanation: Wegener's granulomatosis is characterized by granulomatous vasculitis of the upper and lower respiratory tracts together with glomerulonephritis. Male-to-female ratio is 1:1. And the mean age of onset is 40 years. Clinical features: Patients often present with paranasal sinus pain, purulent or bloody nasal discharge, with or without nasal mucosal ulceration, nasal septal perforation and serous otitis media. Pulmonary involvement results in as cough, hemoptysis, dyspnea, and chest discomfort. Due to renal disease patients develop proteinuria, hematuria, and red blood cell casts. Ref: Harrison's Internal Medicine, 18th Edition, Pages 2789, Chapter 326